A 30-year-old African-American woman presents with bilateral hilar lymphadenopathy and reticular densities in both lung fields. Which of the following is a defining characteristic of the disorder suggested by these findings?
1. Noncaseating granulomas
2. Hypocalcemia
3. Impaired synthesis of immunoglobulin
4. Caseation and necrosis may occur

Correct answer: 1. Noncaseating granulomas

Explanation: The clinical picture strongly suggests a diagnosis of sarcoidosis. The granulomas of sarcoidosis are characteristically noncaseating. Sarcoidosis is a multisystem disorder. Common findings include anergy to tuberculin, hypercalcemia, and broad-based polyclonal hypergammaglobulinemia. Sarcoidosis : Significant elevation of angiotensin-converting enzyme (ACE).